Diagnostic test for CSF rhinorrhea is ?
1. Beta - 2 microglobulin
2. Beta - 2 transferrin
3. Thyroglobulin
4. Transthyretin

Correct answer: 2. Beta - 2 transferrin

Explanation: Ans. is 'b' i.e., Beta-2 transferrin Beta-2 transferrin is a CSF-specific variant of transferrin and is used as an endogenous marker of CSF leakage. Beta-2 transferrin is formed by loss of sialic acid due to the presence of neuraminidase in the central nervous system. Beta-2 transferrin has also been called CSF-specific transferrin and tau protein.